All of the following types of collagen except one are present in cartilage
1. 2
2. 4
3. 6
4. 9

Correct answer: 2. 4